Never used in chemical analysis
1. Saturated NaCl solution
2. Formalin
3. Rectified spirit
4. Sodium fluoride

Correct answer: 2. Formalin

Explanation: Formalin cannot be used for preservation because it hardens and fixes the tissues and poison cannot be extracted. Ref: FORENSIC MEDICINE AND TOXICOLOGY Dr PC IGNATIUS THIRD EDITION PAGE 404